Kappa statistics is used to measure
1. Inter examiner validity
2. Correlation
3. Regression
4. Proportion

Correct answer: 1. Inter examiner validity